A nineteen year old female with short stature, wide spread nipples and primary amenorrhoea most likely has karyotype of –
1. 47, XX + 18
2. 46XXXY
3. 47, XXY
4. 45 XO

Correct answer: 4. 45 XO